All of the following are TRUE about functional enzymes, EXCEPT:
1. Prothrombin is a functional enzyme
2. Present in plasma in higher concentration than tissue
3. Substrate for enzymes are absent in blood
4. Decreased in liver disease

Correct answer: 3. Substrate for enzymes are absent in blood

Explanation: Difference Between Functional and Nonfunctional Enzymes: Functional Plasma enzymes Non- functional plasma enzymes Concentration Present in plasma in higher concentration than tissue Present in plasma in very low concentration than tissue Function Known function No Known function Substrate Substrate present in blood Substrate are absent in blood Site of synthesis Liver Different organs (brain, heart, liver, muscles) Effect of diseases Decreased in liver disease Increases in different organ disease Examples Clotting factors Lipoprotein lipase Pseudocholinesterase ALT, AST, LDH, CK Alkaline phosphatase Acid phosphatase Amylase Ref: Medical Biochemistry By Sheriff - Page 94